Homogentisate oxidase deficiency causes -
1. Phenylketonuria
2. Alkaptonuria
3. Methylmalonic aciduria
4. Albinism

Correct answer: 2. Alkaptonuria

Explanation: Ans. is 'b' i.e., Alkaptonuria Disorders of metabolism of aromatic amino acidsDisorderDefectPhenylketanuriaPhenylalanine hydroxylase deficiencyTyrosinemia type 1Fumarylacetoacetate hydroxylase deficiencyTvrosinemia type 2Tyrosine transminase deficiencyNeonatal tyrosinemiaHydroxyphenyl pyruvate hydroxylase deficiencyAlkaptonuriaHomogentisate oxidase deficiencyAlbinismTyrosinase deficiencyHartnup diseaseDefective transport of tryptophan and other neutral amino acid